Thalidomide acts through -
1. Inhibiting angiogenesis
2. Inhibiting thymidylate synthase
3. Inhibition of Topo-isomerase I
4. All

Correct answer: 1. Inhibiting angiogenesis

Explanation: Ans. is 'a' i.e., Inhibiting angiogenesis o The major antitumor activity of thalidomide is due to inhibition of angiogenesis.